Over filling may force materials directly in to the maxillary sinus most frequently in the case of:
1. Maxillary second premolar
2. Maxillary first premolar
3. Maxillary first molar
4. Facial root maxillary first premolar

Correct answer: 3. Maxillary first molar